Placental abnormality related to PPH is-
1. Placenta accreta
2. Placenta percreta
3. Retained placental
4. All the above

Correct answer: 4. All the above

Explanation: Ans. is 'd' i.e., All the above Causes of Post partum hemorrhage (PPH)o Atonic - 80% commonesto Traumatico Retained tissueso Blood coagidopathyConditions which contribute to the development of atonic PPHo Grand multiparao Overdistention of uteruso Malnutrition and anemiao Antepartum hemorrhageo Prolonged labouro Anesthesiao Iniatiation or augmentation of the delivery by oxytocino Malformation of the uteruso Uterine fibroido Mismanaged third stage of labouro Placenta: morbidly adherent placenta (accrete, percreta), partially or completely separately separated placenta but with retained bits of placental tissue leads to PPH.o Precipitate labour